Best selective media for Salmonella ?
1. Thiosulphate citrate bile salt agar(TCBS)
2. Wilson and Blair's brilliant-green bismuth sulphite agar medium
3. Sorbitol MaCconkey agar
4. All of the above

Correct answer: 2. Wilson and Blair's brilliant-green bismuth sulphite agar medium

Explanation: Wilson and Blair's brilliant-green bismuth sulfite agar (WBBS) -Best selective and indicator medium used for the isolation of Salmonella species. Bismuth sulfite, brilliant green - inhibitors- hinder the growth of most bacteria while allowing salmonella to grow. Ferrous sulphate- Reacts with H2S - formation of ferrous sulfide-brown-black coloration and also diffuses into the surrounding medium, giving a brown -black halo. Option 1: Thiosulphate citrate bile salt agar(TCBS) is used for Vbrio. Option 3: Sorbitol MaCconkey agar -For EHEC (Enterohaemorrhagic Escherichia coli).